Movement of Listeria monocytogenes inside of host cells is caused by:
1. Inducing host cell actin polymerization
2. The formation of pili (fimbriae) on the listeriae surface
3. Pseudopod formation
4. The motion of listeriae flagella

Correct answer: 1. Inducing host cell actin polymerization

Explanation: Ans. A. Inducing host cell actin polymerizationa. Act, a surface protein, induces host cell actin polymerization, which propels them to the cell membrane. Pushing against the host cell membrane, they cause formation of elongated protrusions called filopods.b. These filopods are ingested by adjacent epithelial cells, macrophages, and hepatocytes, the listeriae are released, and the cycle begins again.c. L monocytogenes can move from cell to cell without being exposed to antibodies, complement, or PMN's. Shigella flexneri and Rickettsiae also usurp the host cells' actin and contractile system to spread their infections.